Predict the effect of aldosterone hypersecretion on body fluid pH and electrolytes ?
1. pH decreased, K+ decreased, Na+ increased
2. pH increased, K+ decreased, Na+ increased
3. pH decreased, K+ increased, Na+ decreased
4. pH increased, K+ increased, Na+ decreased

Correct answer: 2. pH increased, K+ decreased, Na+ increased

Explanation: Aldosterone increases the rate of sodium absorption and potassium secretion by the kidneys, but in high concentrations aldosterone also stimulates hydrogen ion secretion. Therefore elevated aldosterone levels such as occur in patients with Cushing's syndrome can elevate body fluid pH above normal (alkalosis). The major factor that influences the rate of hydrogen ion secretion, however, is pH of the body fluids. Ref: Barrett K.E., Barman S.M., Boitano S., Brooks H.L. (2012). Chapter 20. The Adrenal Medulla & Adrenal Cortex. In K.E. Barrett, S.M. Barman, S. Boitano, H.L. Brooks (Eds), Ganong's Review of Medical Physiology, 24e.